Brain is stored in which preservative for autopsy study?
1. Normal saline
2. EDTA
3. NaF
4. 10 % formalin

Correct answer: 4. 10 % formalin

Explanation: 10 % formalin REF: Parikh 6th edition page 2.44 Any tissue which is likely to provide evidence should be preserved in 10% formalin for histopathological examination